Best epidemiological study to know Causality is:
1. Cohort study
2. Case control study
3. Cross sectional study
4. Ecological study

Correct answer: 1. Cohort study

Explanation: Temporal association Implies 'cause precedes effect' or 'effect follows cause'. Is 'most important criterion' of casual association. Is ' best established by a cohort study' (Especially concurrent cohort study) as cohort study is forward study.